Following statements about sarcoidosis is false?
1. Elevated level of angiotensin converting enzyme (ACE)
2. Bilateral parotid enlargement is the rule
3. Pleural effusion is common
4. Facial nerve palsy may be seen

Correct answer: 3. Pleural effusion is common

Explanation: Answer is C (Pleural Effusion is common): Pleural Effusion is an uncommon atypical manifestation in Sarcoidosis reported in up to 5 percent of patients. Parotid enlargement is a classic feature of Sarcoidosis and bilateral involvement is the rule. Neurological disease is reported in 5-10 percent of patients with Sarcoidosis. Facial nerve palsy is the single most common neurological manifestation of Sarcoidosis seen in up to 50 percent of patients with Neurosarcoidosis. Angiotensin Converting Enzyme (ACE) levels are raised in up to 60 percent ofpatients with acute disease and 20 percent of patients with chronic disease. Pleural Effusion and Cavitation are uncommon and atypical manifestations of Sarcoidosis `The pleura is involved in 1 to 5 percent of cases, almost always manifesting as a unilateral pleural e usion -Harrison `Pleural effusion can be seen in 1 to 2 percent ofpatients' - Imaging of Diffuse Lung Disease.